Phlep's sign is seen in:
1. Glomus jugulare
2. Vestibular schwannoma
3. Meniere's disease
4. Neurofibromatosis

Correct answer: 1. Glomus jugulare

Explanation: The best investigation for diagnosis of Glomus jugulare is CECT. Normally the jugular fossa is separated from the carotid canal by a crest of bone known as jugular plate. The erosion of the jugular plate occurs upon expansion of this tumour and is seen on CECT and is known as 'Phlep's sign'.